Which of the following is not synthesised from tyrosine?
1. Nor epinephrine
2. Melatonin
3. Thyroxine
4. Dopamine

Correct answer: 2. Melatonin